Satellitism is seen in cultures of?
1. Hemophilus
2. Streptococcus
3. Klebsiella
4. Proteus

Correct answer: 1. Hemophilus

Explanation: Ans. is 'a' i.e., Haemophilus Satellitism The growth of Haemophilus influenzae is scanty on blood agar, as the factor V is not freely available, being imprisoned inside the red blood cells. Growth is, therefore, better if the source of the V factor is also provided. When Staph aureus is streaked across a plate of blood agar on which a specimen containing H. influenzae has been inoculated, after overnight incubation, the colonies of H. influenzae will be large and well developed along side the streak of staphylococcus, and smaller farther away. This phenomenon is called satellitism. Satellitism is due to high concentration offactor 'V' in staph aureus which is released into medium and is used by H. influenzae.